Puerperial pyrexia is fever for 24 hours or more after child birth if temperature is more than (degree F):
1. 99
2. 99.5
3. 100
4. 100.4

Correct answer: 4. 100.4

Explanation: Ans. D i.e. 100.4